Growth retardation, taste alteration, hepatosplenomegly, hypochromic microcytic anemia, loss of hair, hypogonadism in a boy indicate deficiency of-
1. Selenium
2. Copper
3. Zinc
4. Iron

Correct answer: 3. Zinc

Explanation: Ans. is 'c' i.e., Zinc